Superior rib notching is seen in all except
1. SLE
2. Marfan's
3. Sjogren's
4. Taussig Blalock operation

Correct answer: 4. Taussig Blalock operation

Explanation: Taussig Blalock operation - Inferior notching.